For the treatment of deep-seated tumors, the following rays are used –
1. X rays and Gamma – rays
2. Alpha rays and Beta – rays
3. Electrons and positrons
4. High power laser beams

Correct answer: 1. X rays and Gamma – rays

Explanation: Both X-rays and gamma rays have no mass; rather, they are packed of available energy ready to be released on collision with a substance. Because they have no mass, X-rays and gamma rays can penetrate more deeply into the tissue before releasing their energy. This process, which is commonly referred to as photon irradiation, is used to treat deep-seated tumors such as those located in the thoracic, abdominal, or pelvic areas.